Which of the following nipple discharge is most probably; physiological:
1. B/L spontaneous discharge
2. B/L milky discharge with squeezing from multiple ducts
3. U/L bloody discharge
4. U/L bloody discharge with squeezing from a single duct

Correct answer: 2. B/L milky discharge with squeezing from multiple ducts

Explanation: Ans. (b) B/L milky discharge with squeezing from multiple ductsRef: Bailey and Love 27th edition page 864* Bilateral milky discharge is from physiological lactation All other secretions may be pathological.